The potentially hazardous irrigant causing an emergency during treatment is
1. Saliva
2. Chlorhexidine
3. Sodium Hypochlorite
4. Metrogyl

Correct answer: 3. Sodium Hypochlorite